Effect of fetal hemoglobin on O, dissociation curve-
1. Right Shift
2. Left Shift
3. No effect
4. May be right or left

Correct answer: 2. Left Shift

Explanation: Ans. is 'b' i.e., Left shift Oxveen dissociation curveShifted to rightShifted to lefto Decreased oxygen affinity to hemoglobino Increased P50o Increased oxygen deliveryQ to tissueso Causes;* Decreased pH (Acidosis) Q* Increased temperatureQ* Increased PCO6* Increased 2,3 DPG(BPG)6i) Growth hormone, Androgen, thyroid hormoneii) ExerciseQiii) Tissue hypoxiaQiv) High altitudeQv) AnemiaQvi) Alkalosisvii) Cyanotic CHDviii) Pregnancyix) Chemicals: - InosineQ, Pyruvate. PEP, phosphate* Sickle hemoglobin (HbS) Q.o Increased oxygen affinity to hemoglobinQo Decreased P50o Decrease oxygen delivery Q to tissueso Causes;* Increased pH (alkalosis) Q* Decreased temperatureQ* Decreased PCO2Q* Decreased 2,3 DPG (BPG)Stored bloodQ* Fetal hemoglobin (HbF) Q